Uses of Chandler’s index for hookworm include all except
1. Assessment of endemicity
2. Monitoring mass treatment of community
3. Monitoring individual treatment
4. Comparison of worm load in different populations

Correct answer: 3. Monitoring individual treatment